Menadione is analog of?
1. Vitamin K
2. Vitamin A
3. Vitamin D
4. Vitamin C

Correct answer: 1. Vitamin K

Explanation: The principal role of vitamin K is in the posttranslational modification of various blood clotting factors, in which it serves as a coenzyme in the carboxylation of certain glutamic acid residues present in these proteins.Vitamin K exists in several forms, for example, in plants as phylloquinone (or vitamin K1), and in intestinal bacterial flora as menaquinone (or vitamin K2). A synthetic form of vitamin K, menadione, is availableReference: Lippincott edition 5; page no: 389